Acetyl-CoA carboxylase activity requires:
1. Pantothenate
2. Biotin
3. Thiamine pyrophosphate
4. Riboflavin

Correct answer: 2. Biotin

Explanation: 4 carboxylases that require biotin Acetyl-CoA carboxylase Pyruvate carboxylase, Propionyl-CoA carboxylase, Methyl-crotonyl coA carboxylase